Meissner's and Auerbach's plexus are derived from:
1. Neural crest
2. Yolk sac
3. Primordial germ cell
4. Epithelial lining of gut

Correct answer: 1. Neural crest

Explanation: Neural crest Derivatives of Neural crest cellsSpinal gangliaGanglia of autonomic nervous systemGanglia of cranial nerves (V, VII, VIII, IX, X)Sheaths of peripheral nervesMeningeal coverings of brain & spinal cordPigment cells (melanocytes)Adrenal medullaOdontoblasts of toothChromaffin tissueCells arising from the cranial part of the neural crest migrate into the mesenchyme of the head & neck and influence development of somitomeres. They probably play an important role in development of the musculature of the head, and in formation of face.Defective migration of neural crest cells result in- albinism- tong. megacolon (Hirschsprung's ds.) - melanoma- elephant man- oropharyngeal teratoma- neurocristopathies